In a ulcer over skin if there is undermined edges it suggests
1. Syphilis
2. Tuberculosis
3. Cancerous ulcer
4. Venous ulcer

Correct answer: 2. Tuberculosis

Explanation: Flat sloping venous or septic, often with a transparent healing edge along part of its circumference. Punched-out syphilitic, trophic, diabetic, ischaemic, leprosy. Undermined tuberculosis, pressure necrosis particularly over the buttocks, carbuncles. Raised rodent ulcer , often with a slightlyrolled appearance. Raised and everted carcinoma Hamilton bailey 19th edition Pg 64